Treatment of choice for Warthin's tumor is:
1. Superficial parotidectomy
2. Enucleation
3. Radiotherapy
4. Injection of a sclerosing agent

Correct answer: 1. Superficial parotidectomy

Explanation: Warthin's tumor or papillary cystadenoma lymphomatosum or adenolymphoma is 2nd most common benign tumor accounting for 5% of parotid gland tumors. It arises exclusively from parotid gland. It almost always occur in older males. (in 5th to 7th decade) There is increased risk in smokers Most common site is tail of parotid It is bilateral in 10% cases. It consists of papillary cystic pattern lined with cuboidal and columnar cells with core of lymphoid tissue. Treatment of choice is superficial parotidectomy but because of its benign nature and since it can be easily diagnosed cytologically, surgical removal is not always necessary especially in older or unhealthy persons.